All of the following hormones have cell surface receptors except -
1. Adrenaline
2. Growth Hormone
3. Insulin
4. Thyroxine

Correct answer: 4. Thyroxine

Explanation: Ans. is 'd' i.e., Thyroxine o Thyroxine acts on intracellular receptors.